38 years old man looking Jaundiced presented in emergency with bruises and hematuria. History revealed that he was having cholestatic Jaundice leading to vitamin K deficiency which had ultimately resulted in markedly decreased
1. Platelet derived growth factors
2. Serotonin
3. Arachidonic acid
4. Prothrombin

Correct answer: 4. Prothrombin